Which of the following is related to occipital anchorage
1. Intra oral force
2. Tipping a tooth
3. Extra oral force
4. Bodily movement of anchor

Correct answer: 3. Extra oral force